Catatonia is characterized by all except
1. Echolalia
2. Grandiosity
3. Mutism
4. Abnormal posturing

Correct answer: 2. Grandiosity

Explanation: Catatonia is characterized by marked disturbance of motor behavior presents in 3 clinical forms.a) Excited catatoniab) Stuporous catatoniac) Catatonia alternating between excitement & stupor.